Bernard soluier syndrome is due to defective
1. Platelet adhesion
2. Platelet aggregation
3. Platelet secretion
4. Platelet sequestration

Correct answer: 1. Platelet adhesion